Orbital cellulitis most commonly occurs after infection of which of the following sinuses?
1. Maxillary sinus
2. Frontal sinus
3. Ethmoidal sinus
4. Sphenoidal sinus

Correct answer: 3. Ethmoidal sinus

Explanation: Bacterial orbital cellulitis is most commonly caused by the spread of infection in the ethmoid sinus into the orbit directly through the lamina papyracea or by travelling through the anterior and posterior ethmoid vessels.